Processing method among the following is/are:
1. Manual method
2. Monobath
3. Digital processing
4. All of the above

Correct answer: 4. All of the above

Explanation: Various processing methods are:

Manual
Automatic
Monobath
Digital processing
Self developing